Cell junction in smooth muscle is
1. Zonula adherens
2. Macula adherens
3. Tight junction
4. Gap junction

Correct answer: 4. Gap junction

Explanation: Adjacent muscles fiber of smooth muscle is connected by gap junctions so that action potential from one cell can quickly pass into the neighbouring cells. (Ref: Textbook of medical physiology-Geetha)